Louse borne relapsing fever -
1. B duttoni
2. B recurrentis
3. B parkeri
4. B burgdorferi

Correct answer: 2. B recurrentis